Glasgow coma scale of a patient with head injury who is confused, able to localize on right side and does flexion on left side and opens eye for painful stimuli on sternum:
1. 6
2. 11
3. 12
4. 7

Correct answer: 2. 11

Explanation: Revised Glasgow Coma Scale 2014 Revised GCS (2014) Eye Opening Verbal Response Best Motor Response(M) Spontaneous 4 Oriented 5 Obeying commands 6 To speech 3 Confused 4 Localizing 5 To pressure 2 Words 3 Normal flexion(withdraw) 4 None 1 Sounds 2 Abnormal flexion 3 None 1 Extension 2 None 1 GCS specifically recommends avoiding sternal rubs as it causes bruising & responses can be difficult to interpret. They also do not recommend routine use of retromandibular pressure. Revised GCS (2014) changes are highlighted in the above table Best predictor of outcome: Motor response Reporting of non-testable score Aspects: In case of a non-testable aspect, the new GCS should be marked as NT, for "Not teste stable" For intubated patients or patients with tracheostomy, VNT is used it is no longer recommend to assign 1 point to non-testable elements, therefore a combined score should not use. Pupils Unreactive to Light Pupil Reactivity Score Both Pupils 2 One Pupil 1 Neither Pupil 0 How do I score GCS-P? * GCS-P is calculated by subtracting the Pupil Reactivity Score (PRS) from the Glasgow Coma Scale (GCS) total score GCP-P = GCS minus PRS GCS-P is Ranging from 15 to 1 From the given case of a patient with head injury: E: Pressure / Pain=2 V: Confused =4 Best Motor response M: Localizing =5 Total = 11